Armoured endotracheal tube is used in?
1. Cardiovascular surgery
2. Neurosurgery
3. Thoracic surgery
4. Pediatric surgery

Correct answer: 2. Neurosurgery

Explanation: Neurosurgery REF: Miller 6th ed 1628, Current Diagnosis & Treatment in Otolaryngology--Head & Neck Surgery 2e "In neurosurgical operations armoured endotracheal tube is used" Three of the more commonly used endotracheal tubes are RAE endotracheal tubes, armoured endotracheal tubes, and laser-resistant endotracheal tubes. These tubes are commonly used for head and neck surgery.RAE endotracheal tubes, named after the inventors of the tube (Ring, Adair, and Elwyn), have a preformed shape to fit the mouth or nose. The "armoured" endotracheal tubes are cuffed, wire-reinforced, silicone rubber tubes which are quite flexible but yet difficult to compress or kink. This can make them useful for situations in which the trachea is anticipated to remain intubated for a prolonged duration, or if the neck is to remain flexed during surgery. Armoured endotracheal tubes are frequently used during anaesthesia when bending or compression of the tube is likely to occur as in neurosurgery or head and neck and oral surgery. REF: A & A March 1980 vol. 59no. 3 215-216